Which of the following conditions increases the risk of digoxin toxicity ?
1. Administration of quinidine
2. Hyperkalemia
3. Hypermagnesemia
4. Hypocalcemia

Correct answer: 1. Administration of quinidine